Anti-Muscarinic drugs are used for all of the following indications EXCEPT:
1. Hypertension
2. Motion sickness
3. Parkinson's disease
4. To produce mydriasis and cycloplegia

Correct answer: 1. Hypertension

Explanation: Uses of anti muscarinic drugs are- 1. As antisecretory 2. As antispasmodic 3. Used in bronchial asthma and COPD. 4. As mydriatic and cycloplegic Diagnostic for testing error of refraction Therapeutic for treatment of iritis, iridocyclitis,choroiditis, keratitis and corneal ulcer. 5.As cardiac vagolytic in counteracting sinus bradycardia and partial heart block. 6. For central action In Parkinsonism In Motion sickness To produce sedation and amnesia during labour and to control maniacal states. 7. To antagonise muscarinic effects of drugs and poisons.